Lorazepam is preferred over Diazepam in treatment of status epilepticus as
1. It has longer half life than diazepam
2. It has more sustained action because of lower lipid solubility & slower distribution
3. Faster clearance
4. More bioavailability

Correct answer: 2. It has more sustained action because of lower lipid solubility & slower distribution